Ridley's scale is used in classification of which disease?
1. Tuberculosis
2. Malaria
3. Leprosy
4. Measles

Correct answer: 3. Leprosy

Explanation: Ridley's logarithmic scale is used to grade the response to treatment in case of leprosy. Ref: Park 21st edition, page 293.